Invasive squamous cell carcinoma is differentiated from carcinoma in situ by:
1. Penetration of basement membrane
2. Number of mitotic figures
3. Increased in size of cell
4. Nuclear pleomorphism

Correct answer: 1. Penetration of basement membrane